Diffentiation of genital ridge takes place at ?
1. 2 months
2. 3 months
3. 4 months
4. 5 months

Correct answer: 1. 2 months

Explanation: Ans. is 'a' i.e., 2 months